Tiny bleeding spots on removal of scales, are known as?
1. Auspitz sign
2. Barnett's sign
3. Butterfly sign
4. Carpet track sign

Correct answer: 1. Auspitz sign

Explanation: Ans. is 'a' i.e., Auspitz sign Auspitz sign* It is a bed side test used for the diagnosis of psoriasis vulgaris/ plaque psoriasis. In this, removal of scales leads to pin point bleeding (punctate red dots) in psoriatic lesion.Bed side tests for psoriasis* Scrapping of psoriatic lesion with a glass slide leads to accentuation of the silvery scales (Grattage test). On further scrapping, a glistening white adherent membrane appears (Burkey's membrane). On removing this membrane, there is pin point bleeding occurs (Auspitz sign)